Moist heat during pasteurization kills all of the following microorganisms, EXCEPT:
1. Coxiella burnetii
2. Brucella
3. Salmonella
4. Mycobacterium

Correct answer: 1. Coxiella burnetii

Explanation: The temperature employed is either 630C for 30 minutes (the holder method) 720C for 15-20 seconds (the flash process) followed by cooling quickly to 130C or lower. By these processes all nonsporing pathogens such as mycobacteria, brucellae and salmonellae are destroyed. Coxiella burnetii is relativrly heat resistant and may survive the holder method. Ref: Textbook of Microbiology By Ananthanarayan, 6th edition, Page 25.